Most common cause of upper GI bleed is
1. Duodenal ulcer
2. CA stomach
3. Oesophageal varices
4. Erosive gastritis

Correct answer: 1. Duodenal ulcer

Explanation: Most common cause of upper GI bleed is duodenal ulcer-33%. Other causes are gastric ulcer-21%, erosions-26%, mallery weis tears-4%, oesophageal varices-4%, tumours-0.5%, vascular lesions eg. Dieulafoy's disease-0.5% and others-5%. Reference : page 1063 Bailey and Love's short practice of surgery 25th edition